Left-Right movement of skull occurs at:-
1. Atlento occipital joint
2. Atlanto-axial joint
3. C2-C3
4. C6-C7

Correct answer: 2. Atlanto-axial joint

Explanation: Atlanto-occipital joint - flexion and extension of neck."yes joint" Atlanto-axial joint (C1 -C2) movements -side to side movements of head ("no joint") i.e left and right movements of skull. Atlanto-occipital joint Atlanto-axial joint (C1 -C2) movements